Erythema marginatum is seen in
1. Enteric fever
2. Rheumatic fever
3. Drug reaction
4. Typhoid fever

Correct answer: 2. Rheumatic fever

Explanation: The classic rash of Acute rheumatic fever is erythema marginatum, which begins as pink macules that clear centrally, leaving a serpiginous, spreading edge. Harrison 19e pg: 2152